Non - union is a complication of:
1. Scaphoid
2. Colle's
3. Inter- trochanteric of hip
4. Supra condylor of the humerus

Correct answer: 1. Scaphoid

Explanation: Ans. is 'a' i.e. Scaphoid Commonly the Scaphoid occurs through its waist.*In through the waist there is a high probability, of avascular necrosis of the proximal fragment*Common sites of nonunion of *:Scaphoid*Lower third of ulna *Lateral condyles of humerus*Neck of femur*lower third of tibia*Talus*Common sites of malunion of *s:Colie's*Supracondylar *intertrochanteric *